NOT a cause of community acquired pneumonia:
1. Streptococcus pneumoniae
2. Mycoplasma pneumoniae
3. Moraxella catarrhalis
4. Blastomyces

Correct answer: 4. Blastomyces

Explanation: Ans. D i.e. BlastomycesBlastomyces dermatitidis causes chronic (granulomatous) pneumonia